Which of the following is NOT a major NADA's criteria for clinical diagnosis of congenital heart disease:
1. Diastolic murmur
2. Cyanosis
3. Congestive cardiac failure
4. Abnormal X-ray

Correct answer: 4. Abnormal X-ray

Explanation: d. Abnormal X-ray(Ref: Nelson's 20/e p, Ghai 8/e p 406)NADA's CriteriaUsed in the past to diagnose presence of congenital heart diseaseQ.MajorMinor* Systolic murmur grade 3 or more* Any diastolic murmur* Cyanosis* Congestive heart failure* Systolic murmur less than grade 3* Abnormal S2* Abnormal ECG* Abnormal chest X-ray* Abnormal BPPresence of 1 major or 2 minor criteria indicate very high probability of a Congenital Heart Disease (CHD)